The lingual surface of epiglottis is lined by
1. Stratified squamous epithelium
2. Simple squamous epithelium
3. Stratified columnar epithelium
4. Pseudostratified epithelium

Correct answer: 1. Stratified squamous epithelium